Mosaic pattern of lamellar bone histology is found in
1. Osteopetrosis
2. Osteoid Osteoid
3. Osteitis deformans
4. Osteomalacia

Correct answer: 3. Osteitis deformans

Explanation: Refer Robbins page no 1285 Paget Disease (Osteitis Deformans) Paget disease is a disorder of increased, but disordered and structurally unsound, bone mass. This unique skeletal disease can be divided into three sequential phases: (1) an initial osteolytic stage, (2) a mixed osteoclastic-osteoblastic stage, which ends with a predominance of osteoblastic activity and evolves ultimately into (3) a final burned-out quiescent osteosclerotic stage